True about midazolam as inducing agent –
1. Increase in BP
2. Does not produce pain an IV injection
3. Increase cerebral oxygen consumption
4. Increase peripheral vascular resistance

Correct answer: 2. Does not produce pain an IV injection

Explanation: Midazolam is the shortest acting benzodiazipine.
It is 3 times more potent than diazepam.
Midazolam is now very commonly used BZD in intraoperative period.
Advantages of midazolam over diazepam are :


Water based preparation, so injection is painless.
Elimination half life is 2-3 hours, so can be safely used for day care procedures.
Reversal with flumezanil is complete (no resedation).


Disadvantages are that decrease in BP and peripheral vascular resistance, respiratory depression and incidence of apnea are higher and more profound than diazepam.